Syndrome of inappropriate Antidiuretic Hormone secretion  is characteristic paraneoplastic association of which of the following carcinoma?
1. Lobular carcinoma of breast
2. Small cell lung carcinoma
3. Non small cell lung carcinoma
4. Fibrosarcoma

Correct answer: 2. Small cell lung carcinoma

Explanation: Due to increased production of ADH or Atrial natriuretic peptide, symptoms of SIADH manifests in small cell lung carcinoma.